True about iron deficiency anemia -a) Microcytic hypochromic anemiab) Decreased TIBCc) Increased ferritind) Bone marrow iron decreased earlier than serum iron
1. ad
2. c
3. ac
4. ab

Correct answer: 1. ad